Patent foramen ovale is due to-
1. Failure of closure of sinoatrial orifice
2. Failure of fusion of septum primum and endocardial cushion
3. Failure of fusion of septum primum and septum intermedium
4. Failure of fusion of septum primum and septum secondum

Correct answer: 4. Failure of fusion of septum primum and septum secondum

Explanation: Ans. is 'd' i.e., Failure of fusion of septum primum and septum secondum o The primitive atrium is divided into left and right atria by interatrial septum which is formed by fusion of septum primum and septum secundum. The sequnece of events are as follows# Septum primum arises from the roof of common atrium (primitive atrium) and grows caudally towards septum intermedium (fused AV cushions).# Foramen primum is formed between free border of growing septum primum and fused AV cushions (septum intermedium).# Shortly afterwards the septum primum fuses with septum intermedium (fused AV cushions), obliterating foramen primum# Foramen secundum is formed by degeneration of cranial part of septum primum.# Septum secundum grows caudally to the right of septum primum and overlaps the foramen secundum. The passage between septum primum and septum secundum is called foramen ovale. After birth, foramen ovale closes by fusion of septum primum with septum secundum. Failure of fusion of these two septa results in patent foramen ovale.Formation of interatrial septum